All are benign mesenchymal tumours of stomach except -
1. Leiomyoma
2. Adenoma
3. Fibroma
4. Lipoma

Correct answer: 2. Adenoma

Explanation: Ans. is 'b' i.e., Adenoma